Normal adult haemoglobin contains
1. One alpha chain and one beta chain
2. One alpha chains and two beta chains
3. One beta chains and two alpha chains
4. Two alpha chains and two beta chains

Correct answer: 4. Two alpha chains and two beta chains